Which scientific principle is the basis of the thermodilution method used in the measurement of cardiac output
1. Hagen-poiseuille principle
2. Bernoulli's principle
3. Stewart-hamilton principle
4. Universal gas equation

Correct answer: 3. Stewart-hamilton principle

Explanation: Thermodilution is an indicator dilution technique. In indicator dilution techniques cardiac output is called using stewart - Hamilton equation.


Cardiac output is equal to the amount of indicator injected divided by its average concentration in arterial blood after a single circulation through the heart, called as stewart Hamilton principle.